Alemtuzumab is antibody against
1. CD-20
2. VEGF
3. EGFR
4. CD-52

Correct answer: 4. CD-52

Explanation: Ans. is'd'i.e., CD-52